The following are components of Kawasaki disease, except:
1. Purulent conjunctivitis
2. Pedal edema
3. Truncal rash
4. Pharyngeal congestion

Correct answer: 1. Purulent conjunctivitis

Explanation: Kawasaki disease is associated with bilateral non purulent conjunctival injection. Pedal edema, Truncal rash and Pharyngeal congestion are all features of Kawasaki disease. Ref: Nelson's Book of Pediatrics 17th Edition, Page 824; Essential Pediatrics, O.P.Ghai, 6th edition, Chapter 21, Page 586.